A 50-year-old man presented with multiple pathological fractures. His serum calcium was 11.5 mg/dl and phosphate was 2.5 mg/dl. Alkaline phosphatase was 940 I.U./dl. The most probable diagnosis is -
1. Osteoporosis
2. Osteomalacia
3. Multiple myeloma
4. Hyperparathyroidism

Correct answer: 4. Hyperparathyroidism

Explanation: Multiple pathological fractures, high calcium, low phosphate and high alkaline phosphatase suggest the diagnosis of hyperparathyroidism.